The oxygen consumption of normal gingiva is:
1. 1.6 ± 0.3
2. 0.9 ± 0.22
3. 2.7 ± 0.41
4. 1.9 ± 0.21

Correct answer: 1. 1.6 ± 0.3